Which of the following major minerals is a component of biological membranes?
1. Calcium
2. Sodium
3. Phosphorus
4. Potassium

Correct answer: 3. Phosphorus

Explanation: The plasma membrane consists of a complex lipid bilayer, phosphate and carbohydrate components, and a large number of proteins embedded in the membrane that connect the inner milieu of the cell with the external environment. .